Uterine-cervlx ratio upto 10 yrs of age :
1. 3:02
2. 2:01
3. 3:01
4. 1:02

Correct answer: 4. 1:02

Explanation: 1:2 The relationship of the length of the cervix and that of the body of uterus varies with age. Age Uterus to cervix ratio Me Cervix ratio) Before puberty At puberty In adults/Reproductive age After menopause 1:2 21 3:1 or 4:1 Whole of uterus & cervix atrophy